All of the following enzymes may contribute in generating free oxygen radicals within neutrophils for killing intracellular bacteria, except:
1. Superoxide Dismutase
2. Fenton's reaction
3. NADPH oxidase
4. Glutathione Peroxidase

Correct answer: 4. Glutathione Peroxidase

Explanation: Glutathione peroxidase is an enzyme which works as an antioxidant. It catalyses the reaction in which H2O2 is converted into water. So it does not generate free radicals. Ref: Robbins pathologic basis of disease 6th edn/page 12,13,14.